A 20 years old male patient presents to the STD clinic with a genital ulcer. The gram stain of the smear from ulcer shows gram negative coccobacilli. The most appropriate media for culture would be:
1. Thayer Main Medium
2. Blood agar with X & V factors
3. Chocolate agar with IsoVitaleX
4. Teilurite blood agar

Correct answer: 3. Chocolate agar with IsoVitaleX

Explanation: The clinical picture is suggestive of soft sore (chancroid) caused by Haemophilus ducreyi. Chocolate agar with IsoVitaleX is used for its culture. Other culture media: Thayer Main Medium - Gonococci Blood agar with X & V factors - Haemophilus influenzae Tellurite blood agar - Corynbacterium diphtheriae Reference: Ananthanarayan and Paniker's Textbook of Microbiology Tenth edition